Source of ribose is ?
1. HMP shunt
2. Glycolytic pathway
3. Uronic acid pathway
4. Beta oxidation

Correct answer: 1. HMP shunt

Explanation: Ans. is 'a' i.e., HMP shunt HMP shunt is particularly important for two purposes :-Synthesis of ribose for nucleotide and nucleic acid formation.Formation ofNADPH which plays important role in several other biological processes, e.g. synthesis of fatty acids, cholesterol, steroid hormones and neurotransmitters.